Liquid medium for tuberculosis ?
1. LJ medium
2. Dorset medium
3. Loeffler's medium
4. MGIT

Correct answer: 4. MGIT

Explanation: Ans. is 'd' i.e., MGIT Mycobacterial growth indicator tube (MGIT) is an automated liquid culture method. It contains 7 ml of modified Middle brook 7 H9 Broth base.